Characteristic cardiac lesion in SLE is:
1. Pericarditis
2. Verrucous endocarditis
3. Myocardial fibrosis
4. Valvular incompetence

Correct answer: 2. Verrucous endocarditis

Explanation: Ans. B. Verrucous endocarditisThe characteristic cardiac lesions of SLE are verrucous valvular abnormalities known as Libman-Sacks endocarditis.They most often are located on the left-sided cardiac valves, particularly on the ventricular surface of the posterior mitral leaflet and are made up almost entirely of fibrin.However, Pericarditis is the most common cardiac manifestation of SLE.